The commonest site of thrombosis is ?
1. Vein
2. Artery
3. Heart
4. Capillary

Correct answer: 1. Vein

Explanation: Ans. is 'a' i.e., Vein o Arterial thrombosis is much less common than venous thrombosis.